A 74-year-old woman presents with acute chest pain and shortness of breath. Cardiac catheterization demonstrates occlusion of the left anterior descending coronary artery. Laboratory studies and ECG are consistent with acute myocardial infarction. Which of the following is the most likely pathological finding in the affected heart muscle 4 weeks later?
1. Capillary-rich granulation tissue
2. Collagen-rich scar tissue
3. Granulomatous inflammation
4. Neutrophils and necrotic debris

Correct answer: 2. Collagen-rich scar tissue

Explanation: Pathologic findings in congestive heart failure include:- Change Time Microscopic signs of coagulative necrosis 24 hours after the onset of vascular occlusion PMNL and marophages 3-5 days from the time of injury Capillary rich granulation tissue 7 days or end of first week Collagen rich scar tisssue(necrotic myocardium is replaced) weeks-months Diagnosis: Myocardial infarction